Fourteen weeks pregnancy with third degree prolapse. Best M/n will be
1. Sling surgery
2. Foot end elevation
3. Ring Pessary
4. No treatment

Correct answer: 3. Ring Pessary

Explanation: Ans. is 'c' i.e. . "Ring Pessary" 3rd degree prolapse means that cervix is outside uterus and such patients are managed by replacing the cervix inside the vagina and then it is kept in that position by a ring pessary.The pessary is to be kept there until 18-20 weeks of pregnancy when the body of the uterus will be sufficiency enlarge to sit on the brim of the pelvis.